Iron tablets should never be given along with:-
1. Water
2. Lemon water
3. Milk
4. All of the above

Correct answer: 3. Milk

Explanation: Milk contains calcium which Inhibits absorption of Iron by binding to Intestinal DMT-2 (Divalent Metal transporter-2). Hence, iron tablets should never be taken with milk. Components impeding/ inhibiting iron absorption are: Phytates Tannates Oxalates Calcium Tetracycline. Vitamin C (ascorbic acid) is a facilitator of iron absorption. Diseases like celiac disease, tropical sprue interferes with iron absorption.